Patients with Hashimoto's thyroiditis are at increase risk of developing
1. Papillary carcinoma
2. Follicular carcinoma
3. T-cell lymphoma
4. B-cell lymphoma

Correct answer: 4. B-cell lymphoma

Explanation: Individuals with hashimotos thyroiditis are at an increased risk of development of extra nodal marginal zone B - cell lymphoma. Hashimotos thyroiditis is an auto immune disease. It causes destruction of thyroid gland and progressive thyroid failure. It also increases the risk of development of other autoimmune diseases, both endocrine and neuroendocrine.(Ref:ROBBINS Text book of pathology)